Smoking is most commonly associated with:
1. Liver carcinoma
2. Gall bladder
3. Urinary bladder carcinoma
4. Stomach carcinoma

Correct answer: 3. Urinary bladder carcinoma

Explanation: Ans. C i.e. Urinary bladder carcinoma Causes of bladder carcinoma Tobacco smoking is the main known contributor to urinary bladder cancer; in most populations Smoking is associated with over half of bladder cancer cases in men and one-third of cases among women. Thiy percent of bladder tumors probably result from occupational exposure in the workplace to carcinogens such as benzidine. 2-Naphthylamine, which is found in cigarette smoke, has also been shown to increase bladder cancer risk. Occupations at risk are bus drivers, rubber workers, motor mechanics, leather (including shoe) workers, blacksmiths, machine setters, and mechanics. Hairdressers are thought to he at risk as well because of their frequent exposure to permanent hair dyes.